Selective media for Pseudomonas ?
1. EMJH medium
2. PALCAM agar
3. PLET medium
4. Cetrimide agar

Correct answer: 4. Cetrimide agar

Explanation: Ans. is 'd' i.e., Cetrimide agar